All of the following casues subcortical dementia except -
1. Alzhimer's disease
2. Parkinsonism
3. HIV encephalopathy
4. Progressive supra nuclear palsy

Correct answer: 1. Alzhimer's disease

Explanation: The part of brain affected in Alzheimer's disease is cerebral cortex and hippocampus. In parkinsonism, basal ganglia, cortex and even the brainstem(subcoex) is affected. In progressive supranuclear palsy and HIV encephalopathy there is subcortical dementia. Reference Harrison20th edition pg 2456